A soft contact lens wearer developed pain & itching of the eye & showed a reticular pattern on the corneal epithelium the cause could be:
1. Corneal dystrophy
2. Acanthamoeba
3. Pseudomonas
4. Recurrent

Correct answer: 2. Acanthamoeba

Explanation: Typical reticular pattern due to radial keratoneuritis (Radial perineuritis). Due to this, the pain is very severe (neurological due to perineuritis) which is out of proportion to the degree of inflammation. Later, reticular superficial keratitis advanced to ring-shaped lesion in central or paracentral region.